Which of the following extraocular muscle of the eye is involved in intorsion, depression and abduction of the eyeball?
1. Inferior rectus
2. Superior rectus
3. Inferior oblique
4. Superior oblique

Correct answer: 4. Superior oblique

Explanation: Superior oblique muscle of the eye innervated by the trochlear nerve is involved in intorsion (primary action), depression (secondary action) and abduction (tertiary action) of the eyeball. Action of extraocular muscles: Muscle Primary action Secondary action Tertiary action Medial rectus Adduction Lateral rectus Abduction Superior rectus Elevation Intorsion Adduction Inferior rectus Depression Extortion Adduction Superior oblique Intorsion Depression Abduction Inferior oblique Extortion Elevation Abduction Ref: Textbook of Ophthalmology edited by Sunita Agarwal, page 404.